Which of the following can be considered as incest
1. Oedipus complex
2. Electra complex
3. Pharonic incest
4. All of the above

Correct answer: 4. All of the above

Explanation: Incest is sexual intercourse within blood relationshis (prohibited degress of relationships).
Electra complex: Between father and daughter.
Oedipus complex: Between mother and son.
Pharonic incest: Between brother and sister.